Hepatitis E infection spreads by:
1. Feco-oral route
2. Parenteral
3. Blood transfusion
4. Rectal

Correct answer: 1. Feco-oral route